The following is a Schneider's first rank symptom-
1. Persecutory delusion
2. Voices commenting on actions
3. Delusion of guilt
4. Incoherence

Correct answer: 2. Voices commenting on actions